Ectopic pregnancy: most common feature is
1. Abdominal pain
2. Amenorrhea
3. Fainting attack
4. Bleeding P.V.

Correct answer: 1. Abdominal pain

Explanation: Abdominal pain